Pen Test is for:
1. Median Nerve
2. Ulnar Nerve
3. Radial Nerve
4. Posterior Interosseus Nerve

Correct answer: 1. Median Nerve

Explanation: Ans. A. Median NervePen test (to check the paralysis of abductor pollicis brevis) - The patient is unable to touch the object held above the thumb at right angle to palm. This test is used to check the integrity of median nerve.